Which of these is true of fetal circulation?
1. Fetal heart chambers work in series to effectively supply brain and heart with higher oxygenated blood
2. The ductus venosus is the main branch of umbilical artery
3. The oxygen content of blood delivered to heart from IVC is higher than that leaving the placenta
4. The more oxygenated blood in the right atrium crosses the foramen ovale to the left atrium

Correct answer: 4. The more oxygenated blood in the right atrium crosses the foramen ovale to the left atrium

Explanation: In the supply of blood from placenta to the parts of fetal body we see two systems (1) Placenta - umbilical vein - ductus venosus - medial half of IVC - R.A. - L.A. - L.V. - aorta - brain and heart (2) Placenta - umbilical vein - ductus venosus - lateral half of IVC (+blood from lower extremities) R.A. - R.V. - pulmonary trunk - ductus arteriosus - aorta - rest of the body Fetal heart chambers work in parallel and not in series, which effectively supplies brain and heart with more oxygenated blood . The ductus venosus is a branch of the umbilical vein (not umbilical artery). The single umbilical vein enters the fetus and divides ductus venosus and portal sinus. The ductus venosus is the main branch of the vein which traverses the liver and enters the IVC directly. The IVC also receives less oxygenated blood from lower body and thus the oxygen content of the blood delivered to the heart from IVC is less than that leaving the placenta through the umbilical vein. The 'more oxygenated' blood from R.A. crosses foramen ovale to L.A.